Internal podalic version is done :
1. At 32 weeks in transverse lie
2. Transverse lie of 2nd twin
3. When there is minimal amniotic fluid
4. All of the above

Correct answer: 2. Transverse lie of 2nd twin

Explanation: Transverse lie of 2nd twin